Which of the following is Tensor of the vocal cord
1. Cricothyroid
2. Inter arytenoid
3. Posterior cricoarytenoid
4. Lateral cricoarytenoid

Correct answer: 1. Cricothyroid

Explanation: Intrinsic muscles of larynx They may act on vocal cords or laryngeal inlet. (a) Acting on vocal cords:- * Abductors:- Posterior cricoarytenoid * Adductors:- Lateral cricoarytenoid , Interarytenoid (transverse arytenoid), Thyroarytenoid (external part) * Tensors:- Cricothyroid , Vocalis (internal part of thyroarytenoid). Ref:- Dhingra; pg num:-283